Tc HMPAO SPECT is used for:
1. Cerebral perfusion imaging
2. Renal imaging
3. Parathyroid imaging
4. Thyroid imaging

Correct answer: 1. Cerebral perfusion imaging

Explanation: Ans. A. Cerebral perfusion imaging* Tc HMPAO SPECT is used for cerebral perfusion assessment. For example, in Alzheimer's it shows reduced perfusion of the temporoparietal region.* D-SPECT represents the next step in the evolution of SPECT technology and is based on a unique acquisition geometry. It has nine arrays of cadmium zinc telluride (CZT) detectors, each of which rotates around its central axis with programmable angular rotation.